Objectives of National Mental Health programme are all accept -
1. Promote community participation
2. Promote application of mental health knowledge
3. Provide free antipsychotic drugs to all
4. Provide accessibility of mental health care

Correct answer: 3. Provide free antipsychotic drugs to all

Explanation: parks textbook of preventive and social medicine 23rd edition * objectives of national mental health programme are : (1)to ensure availability and accessibilty of minimum mental health caare for all in the foreseeable future ,particularly to the most vulnerable and underprivileged sections of population (2)to encourage application of mental health knowledge in general health care and in the social devolopment (3)to promote community participation in the mental health services devolopment ,and to stimulate efforts towards selfhelp in the community.